Retractile mesenteris may be seen in:
1. Ormond's disease
2. Gardner's disease
3. Turner's syndrome
4. Down's syndrome

Correct answer: 1. Ormond's disease

Explanation: Retractile Mesenteritis Retroperitoneal fibrosis has been associated with a variety of sclerosis disease, among these is a variant known as retractile mesenteritis Involve predominantly the mesentry of small intestine and associated vessels, involvement of mesocolon and colon is less frequent. Ref: Schwartz 10th edition Pgno: 1458